C.R.E.S.T syndrome is?
1. Generalised scleroderma
2. Limited scleroderma
3. Localised scleroderma
4. Systemic sclerosis

Correct answer: 2. Limited scleroderma

Explanation: C = Calcinosis R = Raynaud phenomenon E = Esophageal Dysmotility S = Sclerodactyly T = Telangiectasia (CREST Syndrome is example of Limited Scleroderma) Option C : Localized Scleroderma = Only skin involvement (Morphea) seen Scleroderma type Antibody Generalized Scleroderma Limited Scleroderma Anti-topoisomerase antibody Anti centromere antibody